In primary pulmonary hypertension basic abnormality in genes lies in
1. Bone morphogenetic protein receptor II
2. Endothelin
3. Homebox gene
4. PAX-11

Correct answer: 1. Bone morphogenetic protein receptor II

Explanation: Ref Harrison 19 th ed pg 1655 Abnormalities in multiple molecular pathways and genes that regu- late the pulmonary vascular endothelial and smooth muscle cells have been identified ). These abnormalities include decreased expression of the voltage-regulated potassium channel, mutations in the bone morphogenetic protein receptor-2, increased tissue factor expres- sion, overactivation of the serotonin transporter, hypoxia-induced activation of hypoxia-inducible factor-1a, and activation of nuclear factor of activated T cells.